During mixed dentition stage, which of the following appliance should be used as a space maintainer for missing primary molars in mandibular arch:
1. Distal shoe
2. Nance holding arch
3. Passive lingual arch
4. Removable functional acrylic

Correct answer: 3. Passive lingual arch